Deficiency of which of the following vitamins is associated with progressive keratinization of the cornea?
1. Vitamin A
2. Vitamin C
3. Niacin
4. Pyridoxine

Correct answer: 1. Vitamin A

Explanation: Vitamin A deficiency is the most important preventable cause of blindness. The earliest sign of deficiency is a loss of sensitivity to green light-followed by impairment to adapt to dim light-then night blindness (inability to see in the dark) More prolonged deficiency leads to xerophthalmia: keratinization of the cornea, and blindness